Theophylline metabolism interaction with ciprofloxacin
1. Increases theophylline metabolism
2. Decreases theophylline metabolism
3. Increases ciproflexacin metabolism
4. Decreases ciprofloxacin metabolism

Correct answer: 2. Decreases theophylline metabolism

Explanation: (Decreases theophylline metabolism) (221-KDT 6th)* Ciprofloxacin and ofloxacin can Increases the serum levels of theophylline by inhibiting its metabolism Agents which induce theophylline metabolism decreases its plasma level Drug which inhibit theophylline metabolism and Increases its plasma levels* Smoking* Phenytoin* RifampicinPhenobarbitoneCharcoalBroiled meat meal* Erythromycin* Ciprofloxacin* CimetidineOralcontraceptiveAllopurinol Theophylline enhances the effects of - Furosemide, sympathomimetics, digitalis, oral anticoagulants, hypoglycemics Theophylline decreases the effects of - Phenytoin, lithium